Milian's ear sign is positive in:
1. Cellulitis
2. Erysipelas
3. Impetigo contagiosa
4. Borderline Tuberculoid Leprosy

Correct answer: 2. Erysipelas

Explanation: Erysipelas is infection of dermal lymphatics by Group A Beta-hemolytic streptococi,characterized by erythema,tenderness and lesions have raised margins.
Milians's ear sign : positive, that is involvement of ear is seen in erysipelas.